All of the following are features of Hyper-IgE syndrome, except:
1. X-linked recessive inheritance
2. R/c infections of skin and lung
3. Hyperextensibility of joints
4. Facial dysmorphy

Correct answer: 1. X-linked recessive inheritance

Explanation: Hyper-IgE syndrome is autosomal dominant and is a complex disorder that combines skin infections, inflammation, and susceptibility to bacterial and fungal infections of skin and lungs, with characteristic syndromic signs such as facial dysmorphy, hyperextensibility, scoliosis, and osteoporosis. Elevated serum IgE levels are typical of hyper-IgE syndrome. Ref: Harrisons Principles of Internal Medicine, 18th Edition, Page 482.